DNA restriction fragments are separated by -
1. Paper chromatography
2. Agarose gel electrophoresis
3. Thin-layer chromatography
4. Ultracentrifugation

Correct answer: 2. Agarose gel electrophoresis

Explanation: Ans. is 'b' i.e.. Agarose gel electrophoresis o DNA is cut into large fragments, using restriction enzymes. These fragments are then separated by gel electrophoresis (either agarose or polyacrylamide gel electrophoresis).